The paradoxical response of GH release to TRH is seen in -
1. Prolactinoma
2. Acromegaly
3. Malnutrition
4. Pitutary adenoma

Correct answer: 2. Acromegaly

Explanation: TRH stimulates the secretion of prolactin as well as TSH,
Normally it does not affect growth hormone secretion but in acromegaly TRH induced growth hormonal stimulation Occurs. 

Note:
"In prolactinomas paradoxical response of TRH to prolactin occurs".
In normal individuals,
TRH stimulates prolactin release
Where as in prolactinomas
There is little or no rise in prolactin in response to TRH.